Total cholestrol level = a+b (calorie intake) + e (physical activity) + d (body mass index) ; is an example of-
1. Simple linear regression
2. Simple curvilinear regression
3. Multiple linear regression
4. Multiple logistic regression

Correct answer: 3. Multiple linear regression